The drug used for first-trimester abortion is:
1. Oral mifepristone
2. Intra–amniotic saline
3. Extra–amniotic ethacridine lactate
4. Oxytocin infusion

Correct answer: 1. Oral mifepristone